Conjugated hyperbilirubinemia is seen in -
1. Gilbert's syndrome
2. Criggler Najjar syndrome
3. Breast milk jaundice
4. Dubin Johnson syndrome

Correct answer: 4. Dubin Johnson syndrome

Explanation: Conjugated hyperbilirubinemia: Dubin Johnson Rotors Unconjugated hyperbilirubinemia Gilbert's Crigler- Najar Reference: Davidson, 23rd edition, page 860